One of the following is NOT transmitted by hard tick:
1. Hemorrhagic fever
2. Relapsing fever
3. Tick typhus
4. Tularemia

Correct answer: 2. Relapsing fever

Explanation: Ans. B i.e. Relapsing fever